Leon William's classification given an idea about
1. Number of teeth and size of the arch
2. Residual alveolar ridge
3. Form of tooth and face
4. Colour of artificial teeth

Correct answer: 3. Form of tooth and face